A 65 year old  female wants a complete denture made. Intraoral examination reveals edentulous arches with  good ridge height and no signs of inflammation or xerostomia. Doctor made primary impression with impression compound. The material used is:
1. Irreversible inelastic
2. Irreversible elastic
3. Reversible elastic
4. Reversible inelastic

Correct answer: 4. Reversible inelastic